Who coined the term "Embolus" ?
1. Mayo
2. Allen
3. Kocher
4. Virchow

Correct answer: 4. Virchow

Explanation: Rudolf Ludwig Carl Virchow- A number of medical terms are named after him, including Virchow's node, Virchow-Robin spaces, Virchow-Seckel syndrome, and Virchow's triad. He was the first to use hair analysis in criminal investigation. Ref - https://en.wikipedia.org/wiki/Embolus